Acute graft versus host disease reaction occurs in all except -
1. Liver
2. Adrenal
3. Gut
4. Skin

Correct answer: 2. Adrenal

Explanation: Robbins and Cotran pathologic basis of disease South Asia edition. Graft versus host disease occur in any organ. The major clinical manifestation result from involvement of immune system and epithelia of skin, liver and intestine. Involment of skin manifested as generalised rash . Destruction of the small bile duct gives rise to jaundice and mucosal ulceration of guy result in bloody diarrhoea. .